Foreign body aspiration in supine position causes which of the following parts of the lung commonly to be affected -
1. Apical left lobe
2. Apical lobe of right lung
3. Apical part of the lower lobe
4. Posterobasal segment of left lung

Correct answer: 3. Apical part of the lower lobe

Explanation: Ans. is 'c' i.e. Apical part of right lower lobe